Area of Cornea indented in Goldman Applanation  tonometer  for measuring IOP
1. 3.66mm
2. 3.6mm
3. 3.0mm
4. 3.06mm

Correct answer: 4. 3.06mm

Explanation: Area of Cornea indented in Goldman Applanation  tonometer  for measuring IOP is 3.06mm.